Example of cold burn is /are:
1. Frostbite
2. Trench foot in soldiers.
3. Immersion foot occurring in shipwrecked persons.
4. All of the above.

Correct answer: 4. All of the above.

Explanation: Cold burns include

Freezing injuries (frostbite)
Non-freezing cold injuries e.g. chilblain (localized painful erythema in the fingers, toes or ears produced by cold damp weather)
Trench foot seen in soldiers
Immersion foot occurring in shipwrecked persons.